Pulsus paradoxus is present in -
1. Emphysema
2. Pulmonary embolism
3. Hypovolemic shock
4. All of the above

Correct answer: 4. All of the above